Prophylaxis for anthrax
1. Erythromycin
2. Doxycycline
3. Penicillin
4. Vancomycin

Correct answer: 2. Doxycycline